Which one of the following forms of radiation can penetrate the deepest into body tissue?
1. alpha
2. beta
3. gamma
4. positron

Correct answer: 3. gamma

Explanation: Gamma radiation Most penetrating of the given options and it penetrates the deepest into the human body. Alpha particles are usually stopped by the human skin.